Blount's disease is associated with all of the following, except -
1. Genu varum
2. Genu Recurvatum
3. Internal Tibial Torsion
4. External Tibial Torsion

Correct answer: 4. External Tibial Torsion

Explanation: Blount's disease is tibia vara, deformity is noticeably worse than in physiological bow legs & may include internal rotation of tibia ; in worst cases there may be lateral subluxation of tibia; there genu recurvatum (hyperextension of the knee ) REF:apley ,9th edition, pg.no.557